Gingiva is attached to enamel by
1. Hemidesmosomes
2. Desmosomes
3. Tight Junction
4. Gap Junction

Correct answer: 1. Hemidesmosomes